In some old fractures, cartilaginous tissue forms over the fractured bone ends with a cavity in between containing clear fluid. What is this condition called?
1. Delayed union
2. Slow union
3. Non union
4. Pseudoarthrosis

Correct answer: 4. Pseudoarthrosis

Explanation: Pseudoarthrosis is the development of a false joint in a long bone or failure of a fracture to unite due to lack of osseous bridge between two fracture fragments after about six months. It typically occur in the upper tibia or fibula. It can be classified as hypertrophic type, atrophic type and defect type. Causes includes osseous defects, impaired perfusion, loss of osseus matrix, absent osseus callus formation and tissue defect. On examination there is pain on use, impaired mobility, soft tissue crepitation and swelling. Xray findings: In this the fracture line is visible and the fracture ends are smooth, sclerotic and the medullary cavity is obliterated. Ref: Imaging Strategies for The Shoulder By Juergen Maeure, Page 34 ; Brunner and Suddah's Textbook of Medical-Surgical Nursing By Lillian Sholtis Brunne, Page 2090-1.